NOT true statement among the following is
1. left Bronchial artery is a direct branch of Aorta
2. Right Bronchial artery is a branch of Right 3rd Anterior intercostal Artery
3. Bronchial artery supplies tracheabronchial three till Respiratory bronchiole
4. Pulmonary veins are intersegmental in location.

Correct answer: 2. Right Bronchial artery is a branch of Right 3rd Anterior intercostal Artery

Explanation: Right Bronchial artery is a branch of Right 3rd posterior intercostal Artery